The maximum number of death in children occur in following age group -
1. 2-5 years
2. 1-2 years
3. first 7 days
4. 6 months - 12 months

Correct answer: 3. first 7 days

Explanation: Ans. is 'c' i.e., First 7 days